Factors which reduce postprandial glycaemia include all of the following EXCEPT -
1. Small particle size of food
2. Presence of enzyme inhibitors in food
3. Inadequate cooking of starch
4. Resence of protein and fat in association with carbohydrate

Correct answer: 1. Small particle size of food